In which cause of jaundice there is no bilirubin excretion in urine -
1. Obstructive jaundice
2. Primary billiary cirrhosis
3. Extrahepatic billiary atresia
4. Hemolytic jaundice

Correct answer: 4. Hemolytic jaundice

Explanation: Answer- D. Hemolytic jaundiceAll other options lead to conjugated hyperbilirubinemia. Conjugated bilirubin is water soluble and only loosel y bound to albumin and thus is easily filtered by glomeruli and excreted in urine.